Which of the following local anaesthetic is NOT used as a surface anaesthetic?
1. Lignocaine
2. Tetracaine
3. Cocaine
4. Bupivacaine

Correct answer: 4. Bupivacaine

Explanation: Bupivacaine is a widely used amide local anesthetic. It is a potent agent capable of producing prolonged anesthesia. Its long duration of action plus its tendency to provide more sensory than motor block has made it a popular drug for providing prolonged analgesia during labor or the postoperative period. By taking advantage of indwelling catheters and continuous infusions, bupivacaine can be used to provide several days of effective analgesia. Lignocaine, tetracaine, and cocaine are used as local anaesthetics and anesthesia lasts for 30-45 minutes (30-60 minutes with tetracaine). Anesthesia is entirely superficial; it does not extend to submucosal structures. Ref: Catterall W.A., Mackie K. (2011). Chapter 20. Local Anesthetics. In L.L. Brunton, B.A. Chabner, B.C. Knollmann (Eds), Goodman & Gilman's The Pharmacological Basis of Therapeutics, 12e.